Surfacant is made up of
1. Fibrin
2. Mucoprotein
3. Phospholipids
4. Fibrinogen

Correct answer: 3. Phospholipids

Explanation: Dipalmitoylphoshatidylcholine is a phospholipid which along with proteins acts as surfactant.